Most common cause of moebius syndrome in use of which of the following drug in pregnancy
1. Misoprostol
2. thalidomide
3. Methotrexate
4. Dinoprostone

Correct answer: 1. Misoprostol

Explanation: Moebius syndrome is extremely rare congenital condition characterized by facial paralysis and inability to move the laterally. It results due to paralysis of 6th and 7th cranial nerves important causes of this syndrome are Birth trauma Use of misoprostal in mother during pregnancy Use of thalidomide in mother during pregnancy Use of cocaine in mother during pregnancy Refer katzung 11/e p1029